Misoprostol has been found to be effective in all of the following except
1. Missed abortion
2. Induction of labour
3. Menorrhagia
4. Prevention of postpartum hemorrhage (PPH)

Correct answer: 3. Menorrhagia

Explanation: Misoprostol is not used. Treatment modalities include eostrogrn therapy ,progesterone initial dose of 10-30 mg a day,should arrest bleeding in 24-48 hrs,after which 5 mg given daily for 20 days,ethamsylate,NSAID,antifibrinolytic agents like tranexamic acid,Gnrh is employed if the above fail,SERM like ormeloxifene etc.. Refer page no 344-345 of Shaw's textbook of gynaecology.